Which chromosomal anomaly is associated with 'Cat eye syndrome'?
1. Partial trisomy 18
2. Partial trisomy 13
3. Partial trisomy 21
4. Partial trisomy 22

Correct answer: 4. Partial trisomy 22

Explanation: Cat eye Syndrome is a congenital malformation syndrome associated with the presence of trisomy or tetrasomy of a segment of chromosome 22q11.2 Ref: Atlas of Genetic Diagnosis And Counseling, Humana Press, 2006; Hereditary Hearing Loss and Its Syndromes, Oxford University Press, 1995, Page 363; Inherited Cardiac Disease, Oxford University Press, 14-Jul-2011, Page 120; Dorland's 28th Edition, Page 1626